The following are rheumatoid disease modifying drugs except:
1. Chloroquine
2. Gold
3. Penicillamine
4. BAL

Correct answer: 4. BAL

Explanation: Ans. D: BAL Commonly used DMARD's include 1) hydoxychloroquine, 2) sulfasalzine, 3) D-penicillamine, 4) gold, 5) methotrexate, 6) azathioprine etc. RA: Disease starts in synovium Synovium is the part most affected The characteristic feature of Rheumatoid arthritis is persistent inflammatory synovitis, usually involving peripheral joints in a symmetrical distribution Causes implicated: Familial, immunological, infective etiology Women are affected thrice then men Earliest lesion in RA: Microvascular injury and an increase in the number of synovial lining cells It usually causes symmetric arthritis with characteristic involvement of certain specific joints (proximal interphalangeal/ PIP and metacarpophalangeal/ MCP joints) Boutonniere deformity: Flexion contracture of PIP and extension of the distal IP joints Trigger finger may be associated Rheumatoid nodules are pathognomic Extra-articular manifestations occur in individuals with high titre of auto-antibodies to the Fc component of IgG (Rheumatoid factor) Hand Joints involvement: PIP: RA, osteo-arthritis/ OA, psoriatic arthritis/ PA PIP and DIP: OA, PA PIP, DIP, MCP and wrist: PA